A new born baby presents with absent anal orifice and meconuria. What is the most appropriate management?
1. Transverse colostomy
2. Conservative
3. Posterior Saggital Anorectoplasty
4. Perenial V-Y plasty

Correct answer: 1. Transverse colostomy

Explanation: Imperforate anus # A rare congenital disorder # Classified as being high or low depending on the site of the rectal termination in relation to the pelvic floor # Low defects: relatively easy to correct but prone to constipation # High defects: more difficult to correct and prone to faecal incontinence Ref: Bailey & Love's Short Practice of Surgery,E25,Page-1247